Which of the following is considered as hypothetical situation
1. Police inquest
2. Magistrate inquest
3. Dying declaration
4. Dying deposition

Correct answer: 4. Dying deposition

Explanation: Dying deposition is the dying declaration taken by the magistrate in the presence of the accused and his lawyer, where the lawyer can cross examine the declarant. It is considered as a 'beside court' and has more evidential value. It is considered hypothetical because this is not practiced in India Ref: K.s.Narayan Reddy's synopsis of Forensic Medicine & Toxicology 29 th edition, Page 7.